In future replacement of questionable mandibular teeth is anticipated, the major connector of choice is
1. Lingual bar
2. Sublingual bar
3. Lingual plate
4. Cingulum bar

Correct answer: 3. Lingual plate